Which of the following Urban health post is attached to a hospital for sterilization, MTP & referral?
1. Type A
2. Type B
3. Type C
4. Type D

Correct answer: 4. Type D

Explanation: Type D Health Post is attached to a hospital for sterilization, MTP and referral. Type A, B and C Health Posts are attached to a hospital for providing referral and supervisory services. Type D Health Post is attached to a hospital for sterilization, MTP and referral. Only type D health post have a post of medical officer. Types of Urban Health Post Population Range Type A less than 5,000, Type B between 5,000-10,000 Type C between 10,000-25,000 Type D between 25,000-50,000 *If the population is more than 50,000, then it is to be divided into sectors of 50,000 population and Health Posts are provided.